The pathogen causing pneumonia in patients who got exposed to rabbit is:
1. Chlamydia psittaci
2. H. capsulatum
3. Francisella tularensis
4. Coxiella burnetii

Correct answer: 3. Francisella tularensis

Explanation: Please note: Exposure to bats or birds H. capsulatum Exposure to birds Chlamydia psittaci Exposure to rabbits Francisella tularensis Exposure to sheep, goats, parturient cats Coxiella burnetii Ref: Harrison, E-18, P-2133